The antiretroviral drug that can bind to both CCR2 and CCR5 is
1. Cenicriviroc
2. Vicriviroc
3. Ibalizumab
4. Bevirimat

Correct answer: 1. Cenicriviroc

Explanation: Cenicriviroc Cenicriviroc binds to both CCR2 and CCR5. It is a fusion/entry inhibitor. CCR2 binding may contribute to the anti-inflammatory effect.VicrivirocVicriviroc binds to CCR5. It is a fusion/entry inhibitor. Not found to be efficacious in clinical trials, hence further trials were discontinued.Ibalizumab Ibalizumab is a monoclonal antibody against CD4. It is a fusion/entry inhibitor.BevirimatBevirimat is a maturation inhibitor. It binds to gag protein.